Which is the poorest source of calcium among the following?
1. Rice
2. Human milk
3. Egg yolk
4. Cow's milk

Correct answer: 1. Rice